A recurrent bilateral conjunctivitis occurring with the onset of hot weather in young boys with symptoms of burning, itching and lacrimation with polygonal raised areas in palpebral conjunctiva is
1. Trachoma
2. Phlyctenular conjunctivitis
3. Mucopurulent conjuctivitis
4. Vernal conjunctivitis

Correct answer: 4. Vernal conjunctivitis

Explanation: VKC is an allergic conjunctivitis due to exogenous antigen, common in small boys REF:Refer Khurana 6th edition page number 61